According to Gomez classification of undernutrition, severe malnutrition has a median weight for age of _______________
1. < 90%
2. < 75%
3. < 60%
4. < 50%

Correct answer: 3. < 60%

Explanation: Gomez classification of Undernutrition Grading Median weight-for-age I 90-75% II 75-60% III < 60% Reference: Nelson; Page no: 298; Table: 46-2